Cholecysto-venacaval line seperates which of the following ?
1. Gallbladder and IVC
2. Porta hepatis and IVC
3. Caudate lobe and quadrangular lobe
4. Right and left lobe of liver

Correct answer: 4. Right and left lobe of liver

Explanation: Cholecysto-venacaval line (cantlie line) seperates right and left lobe of the liver. Cantlie line is an imaginary line that divides the liver into two planes. It extends from the midpoint of the gallbladder fossa at the inferior margin of the liver back to the midpoint of the IVC and contains the middle hepatic vein. Ref: Gray's Anatomy 41st edition Pgno: 1162